Not a sign of Right atrial enlargement:
1. Prominent right heart border with increased convexity (PA view)
2. Prominent anterosuperior part of cardiac shadow (lateral view)
3. Obliteration of retrosternal clear space (Lateral view)
4. Haffman-Rigler Sign (Lateral view)

Correct answer: 4. Haffman-Rigler Sign (Lateral view)

Explanation: Haffman-Rigler sign - Horizontal distance of greater than 1.8cm between posterior aspect of IVC and Posterior border of heart - Sign of Left Ventricular enlargement.